The main component of hyperlipidemia constituting a major risk factor for atherosclerosis is-
1. High densely lipoprotein (HDL) cholesterol
2. Intermediate densely lipoprotein (IDL) cholesterol
3. . Low densely lipoprotein (LDL) cholesterol
4. Very low density lipoprotein (VLDL) cholesterol

Correct answer: 3. . Low densely lipoprotein (LDL) cholesterol

Explanation: Sodium fluoride (Ref: Satyanarayana- 1st Ed/Pg 255) * In glycolysis, (i.e. the pathway in which, glucose is utilized to form energy), 'Enolase' is an enzyme which converts 2- phosphoglycerate to a high energy compound phosphoenolpyruvate. * This enzyme requires Mg++ & Mn++ & is inhibited by fluoride. * For blood glucose estimation, fluoride is added to the blood to prevent glycolysis by cells, so that the blood glucose is correctly estimated.